Initial drug of choice in a child with status epilepticus:
1. Lorazepam
2. Phenobarbitone
3. Valproate
4. Phenytoin

Correct answer: 1. Lorazepam

Explanation: a. Lorazepam(Ref: Nelson's 20/e p 2831-2856, Ghai 8/e p 557-561)Initial drug given in Status epilepticus in a child is a short acting Benzodiazepine like Lorazepam or Midazolam, to abort the seizures